Fordyce's spots/granules in oral cavity arises from:
1. Mucus glands
2. Sebaceous glands
3. Taste buds
4. Minor salivary glands

Correct answer: 2. Sebaceous glands

Explanation: Ans. B i.e. Sebaceous glands